Phlegmon is
1. STD
2. Type of cellulitis
3. Type of osteomyelitis
4. Veneral disease

Correct answer: 2. Type of cellulitis